Taste sensations from the posterior 1/3rd of tongue are carried by nerve:
1. Glossopharyngeal
2. Lingual
3. Chorda tympani
4. Vagus

Correct answer: 1. Glossopharyngeal

Explanation: Glossopharyngeal